Absorption of Glucose in the intestine is by:
1. Primary Active Transport
2. Secondary Active Transport
3. Facilitated Diffusion
4. Simple Diffusion

Correct answer: 2. Secondary Active Transport

Explanation: Absorption of Glucose in the intestine is mediated by the sodium-Glucose cotransporter proteins (The SGLT proteins). These Co-transporters are an example of secondary active transport. Secondary active transport is a form of active transport across a biological membrane in which a transporter protein couples the movement of an ion (typically Na+ or H+) down its electrochemical gradient to the uphill movement of another molecule or ion against or ion against a concentration/electrochemical gradient. Absorption of Glucose in the intestine is mediated by the sodium-Glucose cotransporter proteins (The SGLT proteins). SGLT activity use the energy from this downhill sodium ion gradient created by the ATPase pump to transport glucose across the apical membrane, against an uphill glucose gradient. These co-transporter are an example of secondary active transport. Two processes involved in the Uptake of Glucose: Facilated duiffusion (a passive process): Mediated by GLUT Transport Secondary active transport (an active process): Mediated by SGLT Co-transporters Major Glucose transporters: Facilitative bidirectional transporters (Facilitated Diffusion): GLUT 1 Brain, Kidney, Colon, Placenta, erythrocytes Glucose uptake GLUT 2 Liver, Pancreatic beta cell, small intestine , kidney Rapid uptake or release of glucose GLUT 3 Brain, Kidney, Placenta Glucose uptake GLUT 4 Heart and skeletal muscle, adipose tissue Insulin-stimulated glucose uptake GLUT 5 Small intestine Absorption of fructose Sodium dependent unidirectional transporter (Secondary Active Transport) SGLT 1 Small intestine (Also kidney) Active uptake of glucose against a concentration SGLT 2 Kidney Active uptake of glucose against a concentration gradient In the kidneys, 100% of the filtered glucose in the glomerulus has to be reabsorbed along the nephron. 98% of the load is absorbed in the proximal convoluted tubule (PCT) the SGLT2 protein. Remaining two percent is absorbed and the proximal straight tubule (PST) the SGLT 1 protein. Ref: Ganong